Cherry red spot is seen in all of the following except
1. Spranger disease
2. Faber disease
3. Retinitis pigmentosa
4. Central retinal artery thrombosis

Correct answer: 3. Retinitis pigmentosa